................ are fundamentally dual monocular
telescopes with side by side lenses convergent to focus on the operative field
1. Loupes
2. Cameras
3. Spectacles
4. Lenses

Correct answer: 1. Loupes